Which myxovirus does not have hemagglutinin and neuraminidase but have membrane fusion protein -
1. Measles
2. Parainfluenza
3. RSV
4. Influenza

Correct answer: 3. RSV

Explanation: Ans. is 'c' i.e., RSV RSV does not posses hemagglutinin or neuraminidase. The viral envelope has two glycoproteins? i) G protein - By which virus attaches to cell surface ii) F- protein ( Fusion protein ) - which bring about fusion between viral and host cell membranes. It is also responsible for cell to cell fusion, which leads to characteristic syncytial formation.